Trypsin, Chymotrypsin & Elastases - What type of enzymes are they?
1. Hydrolases
2. Lyases
3. Synthases
4. Synthetases

Correct answer: 1. Hydrolases

Explanation: Ans. is 'a' i.e., Hydrolases* Trypsin, Chymotrypsin and Elastase are endopeptidases secreted by Pancreas* Trypsin acts at Lys - X or Arg - X linkage* Chymotrypsin acts at Aro - X linkage* Elastase acts on Ali - X linkage* All these break a peptide linkage by adding water. Hence they are hydrolases